Nephrocalcinosis is seen in all except :
1. Sarcoidosis
2. Distal RTA
3. Milk alkali syndrome
4. Medullary cystic kidney

Correct answer: 4. Medullary cystic kidney

Explanation: Medullary cystic kidney Nephrocalcinosis Conditions associated with nephrocalcinosis are :- . Hyper ox aluri a . Hyperparathyroidism . Prolonged immobilization . Hypervitaminosis D . Hypophosphatemic rickets excessive bone destruction in metastatic . Cortical necrosis malignancies (such as multiple myeloma) . Cushing syndrome . Hyperthyroidism . Hyperuricosuria . Excessive calcium intake . Renal candidiasis (milk alkali syndrome) . Sarcoidosis . Renal tubular acidosis (distal) . Medullary sponge kidney Nephrocalcinosis is a diffuse deposition of calcium salts in the interstitium of the kidney. Symptoms The earliest functional defect is the inability to produce a concentrated urine. Other tubular defects such as tubular acidosis and salt losing nephritis might occur. It is radiologically demonstrated by small opacities in the renal papillae.